Success of revascularization therapy is mainly dependent 
on
1. Age of patient
2. Complete disinfection of canal
3. Periapical status
4. Occlusal clearance

Correct answer: 2. Complete disinfection of canal